Endogenous triglycerides are maximum in:
1. Chylomicrons
2. VLDL
3. LDL
4. HDL

Correct answer: 2. VLDL

Explanation: More the fat content less will be the density The density increases from: VLDL< LDL< HDL. Hence VLDL have maximum amount of triglycerides. ENDOGENOUS TRIGLYCERIDES MAX IN : VLDL EXOGENOUS TRIGLYCERIDES MAX IN :CHYLOMICRON